Congenital adrenal hyperplasia, most commonly presents as:
1. Male pseudohermaphroditism
2. Female pseudohermaphroditism
3. True hermaphroditism
4. 46,XY intersex

Correct answer: 2. Female pseudohermaphroditism

Explanation: b. Female pseudohermaphrodites(Ref: Nelson 20/e p 2714-2718)Note: Male pseudohermaphrodite is now called 46,XY DSD, while female - 46 XX DSD;So female pseudohermaphrodite is genotypically female (46,XX), whose external genitalia looks like that of a male;In CAH due to 21-hydroxylase deficiency, females have ambiguous genitalia, while males have normal genitalia